A tooth with a chronic alveolar abscess would have all the following features EXCEPT
1. Always symptomatic
2. Detected only during routine radiographic examination
3. Presence of a sinus tract
4. The sinus tract provides continual drainage of the periradicular lesion

Correct answer: 1. Always symptomatic